What is the type of Ag-Ab reaction seen in VDRL
1. Agglutination
2. Flocculation
3. Passive agglutination
4. Gel precipitation

Correct answer: 2. Flocculation

Explanation: Instead of sedimenting,the precipitate remains suspended as floccules which is called flocculation,which is a type of precipitation reactions,one amongst whose applications is the VDRL test for syphilis. Ref: anantnarayan and panikers 10 th edition